Treatment of leukoplakia is
1. Radiation
2. Excision and Cryotherapy
3. Topical chemotherapy
4. Repositioning of ill fitting dentures

Correct answer: 2. Excision and Cryotherapy

Explanation: Management of Leukoplakia : (i) Many of the lesions will disappear spontaneously if the causative agent is removed.(ii) In lesions with higher potential for malignant change, a biopsy is taken to rule out malignancy.(iii) In suspicious small lesions, surgical excision or ablation with laser or cryotherapy can be done. (Ref: Textbook of diseases of ENT, PL Dhingra, 7th edition, pg no. 253)